The shortest extraocular muscle is:
1. Superior oblique
2. Inferior oblique
3. Superior rectus
4. Inferior rectus

Correct answer: 2. Inferior oblique

Explanation: Ans. Inferior oblique